Lombard's test is used in diagnosis of
1. Conductive hearing loss
2. Sensorineural hearing loss
3. Mixed hearing loss
4. Non-organic hearing loss

Correct answer: 4. Non-organic hearing loss

Explanation: Lombard's test: This test is based on "Lombard's principle". This principle says that one raises his / her voice when speaking in the noisy environment. While performing this test, the patient is allowed to read a book. Noise is introduced into the ear. The noise is gradually increased till the patient raises his / her voice or stops the process of reading. If there is no change in voice loudness level the patient does not have a functional hearing defect.